Most common genetic cause of intellectual disability is
1. Down's syndrome
2. Fragile X syndrome
3. Frederich's ataxia
4. Ataxia telangietasia

Correct answer: 1. Down's syndrome

Explanation: Most common cause of intellectual disability is Down syndrome followed by Fragile X syndrome.